True about Malacetic teeth is/are:
1. These are soft teeth.
2. Softness is due to increase amount of interglobular dentin.
3. This softness will leads to increase susceptibility to caries.
4. All of the above.

Correct answer: 4. All of the above.